Pseudo-Pelger-Huet cells or seen in
1. Hairy cell leukemia
2. Multiple myeloma
3. Mylodysplastic syndrome
4. Hodgkin's lymphoma

Correct answer: 3. Mylodysplastic syndrome

Explanation: Ans. is 'c' i.e., Myelodysplastic syndrome